Adverse effect of losartan are all except ?
1. Fetopathic
2. Cough
3. Hyperkalemia
4. Headache

Correct answer: 2. Cough

Explanation: Ans. is 'b' i.e., Cough